National AIDS control Programme was started on –
1. 1977
2. 1980
3. 1987
4. 1990

Correct answer: 3. 1987